Reactionary haemorrhage occurs within:
1. < 24 hours
2. 1-2 Days
3. 2 - 7 days
4. After 7 days

Correct answer: 1. < 24 hours

Explanation: (< 24 hours): Ref: 60-LB (19-B & L 25th)Primary haemorrhage: - Occurs at the time of injury or operationReactionary haemorrhage: - may follow primary haemorrhage within 24 hours (usually 4-6 hours) and is mainly due to rolling (slipping) of a ligature, dislodgement of a clot or cessation of reflex vasospasmSecondary haemorrhage: - occurs after 7-14 days and is due to infection and sloughing of part of the wall of an artery.